Migratory superficial thrombophlebitis is seen in -
1. Carcinoma pancreas
2. Astrocytoma
3. Renal carcinoma
4. All

Correct answer: 1. Carcinoma pancreas

Explanation: Ans. is 'a' i.e., Carcinoma pancreas